Monteggia fracture is:
1. Fracture of distal radius with dislocation of head of ulna
2. Fracture of the proximal third of the ulna with dislocation of the head of the radius.
3. Fracture of distal third of ulna with dislocation of head of radius
4. Fracture of proximal one third of radius with dislocation of head of radius

Correct answer: 2. Fracture of the proximal third of the ulna with dislocation of the head of the radius.

Explanation: Ans. (b) Fracture of the proximal third of the ulna with dislocation of the head of the radius. Maheshwari 5th ed. /110* Monteggia fracture: Fracture of the proximal third of the ulna with dislocation of proximal radio-ulnar joint.* Posterior interosseous nerve is damaged in case of monteggia fracture dislocation.* Cause of monteggia fracture: Fall on an outstretched hand with the forearm in excessive pronation (hyper-pronation injury).Also KnowGaleazzi Fracture: Fracture of the distal third of radius and dislocation of the distal radio - ulnar joint.* Isolated ulnar shaft fractures are most commonly seen in defence against blunt trauma (e.g. nightstick injury). Such an isolated ulnar shaft fracture is not a Monteggia fracture. It is called a nightstick fracture'.